Furcation is measured by
1. Naber's probe
2. Fluoride probe
3. Miller's probe
4. CPITN probe

Correct answer: 1. Naber's probe